Lepra cells found in lepromatous leprosy are ?
1. Neutrophils
2. Lymphocytes
3. Macrophages
4. Plasma cells

Correct answer: 3. Macrophages

Explanation: Ans. is 'c' i.e., Macrophages . Virchow's cells (lepra or foamy cells) are large undifferentiated histocytes. Note : Histocytes are tissue macrophages